Which of the following type of malignancy is an important indication for L - asparaginase?
1. AML
2. ALL
3. CML
4. CLL

Correct answer: 2. ALL

Explanation: L - asparaginase is the most commonly used antineoplastic drug used in the treatment of ALL. It exerts its antitumor effect by hydrolysis of asparagine selectively affecting leukemic cells which possess low levels of asparagine synthase.